Complication of Rheumatoid arthritis of condyle is
1. Fibrous ankylosis
2. Subluxation
3. Dislocation
4. None of above

Correct answer: 1. Fibrous ankylosis